Which of the following zone of the liver lobule is more prone to ischemia?
1. Periportal
2. Midzonal parenchyma
3. Centrilobular zone
4. All zones are affected equally

Correct answer: 3. Centrilobular zone

Explanation: Centrilobular zone (zone 3) is zone with poor oxygenation , therefore is more prone to ischemia * Liver is divided histologically into lobules. * The center of the lobule is the central vein. * At the periphery of the lobule are portal triads. * Based on the oxygen supply , the liver can be divided into three zones. Zone 1 : Periportal zone - encircles the portal tracts where the oxygenated blood from hepatic arteries enters. Zone 2 : Midzonal parencyma - is located in between. Zone 3 : Centrilobular Zone - is located around central veins, where oxygenation is poor.